A 55 year old male presented with angina. Coronary angiography revealed a block in the right coronary artery. The condition is likely to cause a decrease in blood supply through all of the following blood vessels except
1. Acute Marginal
2. Posterior interventricular artery
3. Artery to SA node
4. Circumflex artery

Correct answer: 4. Circumflex artery

Explanation: Circumflex artery is not a branch of the right coronary artery. It is the branch of the left coronary artery. The branches of the right coronary artery are: Right coronary artery-It is the first branch of the right coronary artery. Artery of the SA node. Acute right marginal artery. Posterior interventricular artery (in 65% population) Atrial and anterior and posterior ventricular branches. Ref: Gray's Anatomy 41st edition Pgno: 1016